Amaurosis fugax may occur in all of the following conditions except:
1. Papilloedema
2. Papillitis
3. Giant cell arteritis
4. Raynaud's disease

Correct answer: 2. Papillitis

Explanation: Ans. Papillitis